Which of the following local anaesthetic is active topically?
1. Lidocaine and Benzocaine
2. Lidocaine and mepivacaine
3. Mepivacaine and benzocaine
4. Prilocaine and mepivacaine

Correct answer: 1. Lidocaine and Benzocaine